Which structures are preserved in Scanlon's modified radical mastectomy?
1. Lateral pectoral nerves
2. Level II nodes in the axilla
3. Pectoral fascia
4. Nipple and the areola

Correct answer: 1. Lateral pectoral nerves

Explanation: Modified Radical Mastoidectomy (MRM)Auchincloss MRM: Both pectoralis major and minor are preserved with removal of level I and II axillary nodes only.Patey's MRM: Pectoralis minor is removed with the complete axillary clearance of nodes up to level III. The axillary vein and nerves to the serratus anterior and latissimus dorsi (the thoracodorsal trunk) should be preserved. The intercostal brachial nerves are usually divided Scanlon's modification of Patey's MRM: Instead of removing pectoralis minor, the muscle is just divided to that level 3 nodes can be removed.Bailey and love 27e pg: 876